The zone of dentin most recently formed and uncalcified is known as:
1. Mantle dentin
2. Circumpulpal dentin
3. Predentin
4. Secondary dentin

Correct answer: 3. Predentin